Raynolds-Braude phenomenon is shown by:
1. Candida albicans
2. Mucor
3. Cryptococcus
4. Aspergillus

Correct answer: 1. Candida albicans

Explanation: Ans. a (Candida albicans). (Ref. Ananthanarayan, Microbiology/ 6th/pg.576)RAYNOLDS-BRAUDE PHENOMENON (Germ tube formation) is a rapid method of identifying Candida albicans based on ability to form germ tubes within 2 hours on incubation in human serum at 37degC.CANDIDA ALBICANS# Yeast like fungus# Pseudomycelia# Diabetes is the most common predisposing factor# Normal inhabitants of skin and mucosa# Produces creamy-white, smooth colonies with yeast odour on Sabouraud's media# Forms Chlamydospores on com meal agar at 20degC# Treatment:- Local-nystatin,- Disseminated - Amphotericin, 5-Flurocytocin, clotrimazole.Opportunistic systemic mycotic infections include:SR. NO.FUNGUSMICROBIOLOGICAL FEATURESCLINICAL MANIFESTATIONS1AspergillusSeptate hyphae & sterigmataOtomycosis is most common.Rhinocerbral aspergillosis is particularly seen in diabetics.ABPA2MucorBroad non-septate mycelia without rhizoids, branched sporangiophoresNasal & PNS mucormycosis3PenicilliumBrush like conidia, chain of sporesIn HIV infected patients4RhizopusNon-septate mycelia with rhizoids-5AbsidiaiInvasive disease